Diagnostic features of allergic bronchopulmonary aspergillosis (ABPA) include all of the following except -
1. Changing pulmonary infiltrates
2. Peripheral eosinophilia
3. Serum precipitins against Aspergillus fumigants
4. Occurrence in patients with old cavitary lesions

Correct answer: 4. Occurrence in patients with old cavitary lesions